Closure of glottis is by all except
1. Posterior cricoarytenoid
2. Lateral cricoarytenoid
3. Cricothyroid
4. Thyroarytenoid

Correct answer: 1. Posterior cricoarytenoid

Explanation: Posterior cricoarytenoid acts by abducting vocal cords. Lateral cricoarytenoid and Thyroarytenoids are adductors of vocal cords. Whereas Cricothyroid is tensor of vocal cords. Ref: Textbook of diseases of ENT, PL Dhingra, 7th edition, pg no. 320